Fibroids cause infertility and pregnancy wastage because
1. Inhibit normal ovulation
2. Endometrial inflammation
3. Pressure effect on ovaries
4. Hyperestrogenic state

Correct answer: 2. Endometrial inflammation

Explanation: Fibroids are associated with endometrial inflammation and vascular changes that may disrupt implantation.